Which of the following features in liver biopsy is seen in alpha 1 antitrypsin deficiency-a) PAS positive and diastase resistant globules are seenb) Cirrhosis of liverc) Mallory hyalined) Bile duct proliferatione) Amyloid deposition
1. ab
2. abc
3. acd
4. bcd

Correct answer: 2. abc